A 70-year-old man presented with itching, jaundice and mass palpable per abdomen and clay coloured stools. Two tests done in his urine sample is shown here. It gave positive results. What is the type of Jaundice he is suffering from?
1. Obstructive jaundice
2. Hemolytic jaundice
3. Prehepatic jaundice
4. Hepatic jaundice

Correct answer: 1. Obstructive jaundice

Explanation: Ans. A. Obstructive jaundiceTwo tests given here are:* Hays test -Tests for bile salts* Fouchet s test -Test for bile bigment* So the best answer is obstructive jaundiceUrine test JaundiceUrine testHemolytic Jaundice/Prehepatic JaundiceHepatic JaundiceObstructive/Post hepatic jaundiceHay's test-Bile saltsNegativePositive/NegativePositiveEhrlich's test- UrobilinogenPositivePositive/NegativeNegativeFouchet's test- Bile pigmentNegativePositive/NegativePositive